Intermediate filaments are used as:
1. Tumor markers
2. Carbohydrates
3. Both
4. None

Correct answer: 1. Tumor markers

Explanation: Intermediate filaments are used as tumor markers Epithelial cells have:keratin Muscle cells: desnin Connective tissue:vimentin Glial cells:GFAP Nucleus:lamin Ref:Guyton and Hall textbook of medical physiology 12th edition,page number 8,9,14